Left ventricular Hyperopy is caused by all, Except:
1. M.S (Mitral stenosis)
2. A. S (Aortic Stenosis)
3. M.R (Mitral Regurgitation)
4. A. R (Aortic Regurgitation)

Correct answer: 1. M.S (Mitral stenosis)

Explanation: Answer is A (Mitral Stenosis) Isolated Mitral Stenosis is not associated with Left Ventricular Hypertrophy Isolated Mitral Stenosis is not associated with Left ventricular Hypertrophy The burden of Mitral Stenosis (from obstruction of flow across the mitral valve) is received by the left atrium followed by pulmonary circulation, right ventricle and right atrium in that sequence Left ventricle is off loaded and neither receives pressure overload nor volume overload and hence does not show any hypertrophy Pathophysiological overload features from Mitral Stenosis may results in Left Atrial Hypertrophy ( tleji Atrial pressure) Pulmonary Hypertension (Dilatation of pulmonary vessels) Right ventricular Hypertrophy (Secondary to pulmonary Hypertension) Right Atrial Hypertrophy (May be seen with severe M.S. secondary to Pulmonary Hypertension Aortic Stenosis, Aortic Regurgitation and Mitral Regurgitation may all lead to Left Ventricular Hypertrophy Left Ventricular Hypertrophy may result from either pressure overload (e,g AS) or volume overload (MR, AR etc) of the left ventricle Left Ventricular Hypertrophy Pressure Overload Volume Overload * * * Occurs when heart is forced to pump against increased resistance such as - Systemic Hypertensions - Aortic stenosisQ These conditions cause systolic overloads This causes concentric Hypertrophyv of left ventricle. (ventricular wall thickens in relation to ventricular cavity) * * * * * Occurs when end diastolic wall stress is such as valvular regurgitation Aortic Regurgitation Mitral Regurgitation These conditions cause diastolic overloadQ This causes Eccenteric hypertrophye of Left ventricle (Ventricular wall thickness remains normal in relation to chamber dilatation Systolic overload on ECG is characterized by : - TQRS voltage - Depressed ST segment in left precordial - Inverted T waves Lead Diastolic overload on ECG is characterized by - Tall Late 'R' waves in V5 & V6